Endolymph in ear equivalent to
1. ICF
2. Lymph
3. CSF
4. Blood

Correct answer: 1. ICF

Explanation: The inner ear (labyrinth) is made up of two parts, one within the other. The bony labyrinth is a series of channels in the Petros portion of the temporal bone. Inside these channels, surrounded by a fluid called perilymph, is the membranous labyrinth. This membranous structure more or less duplicates the shape of the bony channels. It is filled with a K+rich fluid called endolymph, and there is no communication between the spaces filled with endolymph and those filled with perilymph.Reference: Ganong review of medical physiology 23rd edition Page no; 205